The defect in achalasia cardia is present in
1. Myenteric plexus of Auerbach
2. Meissner's plexus
3. Kiesselbach's plexus
4. Mesenteric plexus

Correct answer: 1. Myenteric plexus of Auerbach

Explanation: Progressive inflammation and selective loss of the inhibitory myenteric neurons in Auerbach's plexus of the esophagus that normally secrete VIP and nitric oxide- Achalasia